Last visual field to be lost in Glaucoma is
1. Superior
2. Nasal
3. Inferior
4. Temporal

Correct answer: 4. Temporal

Explanation: Last visual field to be lost in Glaucoma is Temporal field of vision.